Which of the following enzymes can be described as DNA dependent RNA polymerase
1. DNA polymerase I
2. Reverse transcriptase
3. Primase
4. Telomerase

Correct answer: 3. Primase

Explanation: Primase catalyses the synthesis of short RNA segment called primer. This is the first step in the process of Transcription.
Option a: DNA dependent DNA polymerase
Option b and d: RNA dependent DNA polymerase.